DMPA is given once in -
1. 3 months
2. 6 months
3. 9 months
4. 45 days

Correct answer: 1. 3 months

Explanation: Ans. is 'a' i.e., 3 months HORMONAL CONTRACEPTIVES These are hormonal preparations used for reversible suppression of fertility. Types of methods A. Oral Combined pill (monophasic pills) It contains an estrogen and a progestin. This is the most effective and popular method. Efficacy is 98-99% Preparation are - Ethinyl estradiol 30 pg (*03 mg) + Norgestrel 0.3 mg Ethinyl estradiol 50 .tg (*05 mg) + Levonorgestrel 0.25 mg Ethinyl estradiol 30 pig (*03 mg) + Desogestreol 0.15 mg One tablet (containing estrogen and progesterone) is taken daily for 21 days starting on 51"day of mensturation. Phased regimens The estrogen dose is kept constant (or varied slightly between 30-40 mg), while the amount of pregestin is low in first phase and progressiely higher in the second and third phases. Preparations are Biphasic pills Day 1-10 - Ethinyl estradiol 35 mg + Norethindrone 0.5 mg Day 11-21 - Ethinyl estradiol 35 mg + Norethindrone 1 mg. Triphasic pills Day 1-7 - Ethinyl estradiol 35 mg + Norethindrone 0.5 mg Day 8-14 -Ethinyl estradiol 35 mg + Norethindrone 0.75 mg Day 15-21 - Ehinyl estradiol 35 mg + Norethindrone 1 mg Minipill (progestin only pill) A low dose progestin pill is taken daily without any gap. Preparations - Norethindrone (0.35 mg) or Norgestrel 75 mg. Postcoital (emergency) pills. a) Levonorgestrel 0.5 mg + ethinyl estradiol 0.1 mg --> within 72 hours of unprotected intercourse and repeated after 12 hours - Yuzpe method. b) Levonorgestrel alone 0.75 mg taken twice with 12 hour gap within 72 hours of unprotected intercourse - method of choice for emergency contraception. c) Mifepristone 600 mg single dose within 72 hours of unprotected intercourse. B. Injectable They are given i.m. as oily solution 1.Long acting progestin alone a) Depot medroxy progesterone acetate (DMPA) 150 mg at 3 month intervals. or b) Norethindrone (norethisterone) enanthate (NEE) 200 mg at 2 months intervals. c) The most important undesirable property is complete disruption of menstural bleeding pattern and total amenorrhoea (more common with DMPA). 2.Long acting progestin + long acting estrogen - once a month.